Which of the following addiction give rise to Magnan's symptom?
1. Alcohol
2. Cocaine
3. LSD
4. Opiates

Correct answer: 2. Cocaine

Explanation: Magnan's symptom or cocaine bugs is characteristic of cocainism, in which there is a feeling as if grains of sand are lying under the skin or some small insects are creeping on the skin giving rise to itching sensation (formication, tactile hallucination) with resultant excoriation, leading to irregular scratches and ulcers. Ref: The Essentials of Forensic Medicine and Toxicology by KS Narayan Reddy, 27th edition, Page 536.